A 24-year-old accountant complains of a white discharge from his breasts. He is most likely experiencing which one of the following?
1. A tumor of the posterior pituitary that could be surgically removed
2. Excessive production of OT in the hypothalamus
3. Deficient testosterone receptors in the mammary glands
4. A prolactinoma that would decrease its secretory activity in response to bromocriptine (an analog of dopamine)

Correct answer: 4. A prolactinoma that would decrease its secretory activity in response to bromocriptine (an analog of dopamine)

Explanation: The accountant has galactorrhea (inappropriate production of milk) caused by a prolactinoma (a tumor of the anterior pituitary that secretes PRL). Dopamine, the major regulator of PRL secretion, inhibits PRL production and release by the anterior pituitary. Bromocriptine is a drug that acts like dopamine to inhibit PRL release. While OT stimulates the ejection of milk from the mammary gland, PRL is necessary for milk to be produced in the gland. Neither glucagon nor testosterone will affect milk production. PRL is produced in the anterior pituitary, not the posterior pituitary.